In which of the following condition is Tetanus most commonly noticed?
1. Burn cases
2. Wounds contaminated with fecal matter
3. Open fracture
4. Gunshot wounds

Correct answer: 2. Wounds contaminated with fecal matter

Explanation: Wounds contaminated with fecal matter and soil are most prone for tetanus development, however tetanus may develop in chronic conditions, such as skin ulcers, abscesses, gangrene, burns, frost bite, and middle ear infection. It is also associated with surgery, abortion, childbirth, body piercing, and drug abuse notably skin popping and open fracture etc. All of the conditions given are associated with tetanus but as wounds contaminated with fecal matter and soil are most prone so, it is the answer of choice here. Ref: Harrison 16/e, Page 840-43.